Which of the following is the most common clinical manifestation of Rosai Dorfman disease?
1. Tender, red plaques and nodules together with areas of erythema
2. Painless cervical lymphadenopathy
3. Noncicatricial alopecia
4. Recurrent staphylococcal skin infections.

Correct answer: 2. Painless cervical lymphadenopathy

Explanation: Rosai Dorfman disease: Massive cervical lymphadenopathy, usually bilateral and painless, is the most common manifestation. It is generally a benign disorder in spite of its propensity to form large masses and to disseminate to both nodal and extranodal sites.